Muscle NOT supplied by cranial nerve III:
1. Superior oblique
2. Superior rectus
3. Inferior oblique
4. Medial rectus

Correct answer: 1. Superior oblique

Explanation: Ans. (a) Superior ObliqueRef.-.BDC 6th ed. Vol-III/360-62* Again remember the mnemonics LR6 S04 and all other by CN III* Superior oblique is supplied by CN IV (trochlear nerve).* Refer to above answer for more detailed explanation.